Your female patient is unable to walk on her tiptoes. You immediately suspect damage to which of the following nerves
1. Sural nerve
2. Tibial nerve
3. Common fibular nerve
4. Superficial fibular nerve

Correct answer: 2. Tibial nerve

Explanation: Plantarflexion of the foot at the ankle is produced by the muscles in the calf, which are innervated by the tibial nerve. Ref:- BD Chaurasia